Most common cause of seizure in newborn is
1. Hypoxia induced ischemic encephalopathy
2. Hypocalcemia
3. Metabolic abnormality
4. Sepsis

Correct answer: 1. Hypoxia induced ischemic encephalopathy

Explanation: Most common cause of seizure in first day of new born baby is anoxia ,hypoxia induced ischemic Symptomatic neonatal seizures may be caused by: lack of oxygen before or during birth because of problems such as placental abruption (premature detachment of the placenta from the uterus), a difficult or prolonged labour, or compression of the umbilical cord infection acquired before or after birth, such as bacterial (a blood clot in the brain) bleeding in the brain congenital brain abnormalities, either genetic or acquired during fetal development, such as tuberous sclerosis blood sugar or electrolyte imbalances, including hypoglycemia (low blood sugar), hypocalcemia (low calcium), hyponatremia (low sodium), or hypernatremia (high sodium) metabolic problems, such as maple syrup urine disease, pyridoxine dependency, or (PKU) drug withdrawal, which may be seen in infants born to mothers addicted to barbiturates, alcohol, heroin, cocaine or methadone Reference: GHAI Essential pediatrics, 8th edition